\r\nThe denominator for calculating the incidence rate of specific disease is which of the following?
1. Mid year population
2. Population at risk
3. Population observed
4. Total population

Correct answer: 2. Population at risk

Explanation: Incidence rate = (No: new cases in a given time period) / (Population at risk during that time period) x 1000